All of the following can occur as a complication of Chronic lymphoedema, EXCEPT:
1. Thickening of the skin
2. Recurrent soft tissue infections
3. Marjolin's ulcer
4. Sarcoma

Correct answer: 3. Marjolin's ulcer

Explanation: Marjolin's ulcer is a squamous cell carcinoma (SCC) which appear in a scar. It does not arise as a complication of chronic lymphoedema. Complications of chronic lymphoedemaincludes: 1. Repeated episodes of infection and inflammation of skin, soft tissue and lymphatic vessels. Gram positive bacteria are the usual pathogen which cause cellulitis, lymphangitis and erysipelas. 2. Dermatolymphangioadenitis, 3. Cutaneous malignancy lymphangiosarcoma, other malignancies associated with it are Kaposis sarcoma, B cell lymphoma, Squamous cell carcinoma, and malignant fibrous histiocytoma. Ref: Lymphedema: A Concise Compendium of Theory and Practice By Byung-Boong Le, Page 9; Bailey and Love's Short Practice of Surgery, 24th Edition, Page 968; arrison Internal Medicine, 17th Edition, Page 1575;